Most common malignant orbital tumour in children is
1. AML
2. ALL
3. Rhabdomyosarcoma
4. Cavernous hemangioma

Correct answer: 3. Rhabdomyosarcoma